What type of RBC seen in chronic renal failure ?
1. Microcytic
2. Macrocytic
3. Normocytic
4. None

Correct answer: 3. Normocytic